All of the following muscles of tongue are supplied by hypoglossal nerve, EXCEPT?
1. Palatoglossus
2. Genioglossus
3. Geniohyoid
4. None of the above

Correct answer: 1. Palatoglossus

Explanation: The muscles of the tongue, with the exception of palatoglossus, are supplied by the hypoglossal nerve. Palatoglossus is supplied the pharyngeal plexus.